All of the following are true about Rifampicin, EXCEPT:
1. Microsomal enzyme inducer
2. Useful for treatment meningiococcal meningitis
3. May cause OCP failure
4. Bactericidal in nature

Correct answer: 2. Useful for treatment meningiococcal meningitis

Explanation: Rifampicin is a bactericidal antibiotic. Rifampicin is an effective liver enzyme-inducer, promoting the upregulation of hepatic cytochrome P450 enzymes (such as CYP2C9 and CYP3A4), increasing the rate of metabolism of many other drugs. It reduces the efficacy of hormonal contraception. It is used in prophylactic therapy (not for treatment) against Neisseria meningitidis (meningococcal) infection.